Kussmaul's breathing is seen in
1. Metabolic acidosis
2. Metabolic alkalosis
3. Respiratory acidosis
4. Respiratory alkalosis

Correct answer: 1. Metabolic acidosis

Explanation: Kussmaul breathing is a deep and labored breathing pattern often associated with severe metabolic acidosis, particularly diabetic ketoacidosis (DKA) but also kidney failure. Ref: guyton and hall textbook of medical physiology 12 edition